The commonly used screening test for Human immunodeficiency virus is -
1. VDRL test
2. Weil-Felix test
3. ELISA test
4. Western blot test

Correct answer: 3. ELISA test

Explanation: ELISA is ideal for screening test of HIV ,several serum sample at a time REF:ANANTHANARAYANAN TEXT BOOK OF MICROBIOLOGY 9EDITION PGNO 579